Right to life ?
1. Is a moral principle
2. Signifies that every human being has the right to live
3. Advocates against the unjust killing of one human being by another
4. All the above

Correct answer: 4. All the above

Explanation: Ans. is 'd' i.e., All of the above Right to life:The right to life is a moral principle based on the belief that a human being has the right to live and, in particular, should not to be unjustly killed by another human being. The concept of a right to life is central to debates on the issues of euthanasia, capital punishment, abortion, self-defense and the morality of war.